If a person keeps a man under his power and threatens him to cause harm without any intention to kill comes under which section of IPC -
1. 44
2. 319
3. 320
4. 351

Correct answer: 4. 351

Explanation: The synopsis of forensic medicine & toxicology;Dr k.s narayan reddy; 28th edition; pg.no.155; It is an assault coming under S.351,I.P.C